Parastomal hernia is a complication most commonly associated with which of the following surgical procedure?
1. End Colostomy
2. Loop Colostomy
3. Endlliostomy
4. Loop Iliostomy

Correct answer: 1. End Colostomy

Explanation: Parastomal hernia usually result from the placement of an ostomy lateral to the rectus muscle or through an operative incision. It is associated with 58% cases of colostomies and 28% cases of ileostomy. End colostomy and parastomal hernia has the greatest association, followed by loop colostomy, end ileostomy then loop ileostomy. Ref: Clinical Practice and Surgery of The Colon, Rectum and Anus By Sisir Kumar Saha, Page 125; Hernia Repair Sequelae By Volker Schumpelick, Page 452; Contemporary Coloproctology By Steven Brown, Page 478; Complications in Surgery By Michael W. Mulholland, Gerard M. Dohey, Page 476